Which fluoroquinolone is highly active against Mycobacterium leprae and is being used in alternative multidrug therapy regimens:
1. Norfloxacin
2. Ofloxacin
3. Ciprofloxacin
4. Lomefloxacin

Correct answer: 2. Ofloxacin

Explanation: Ofloxacin is highly active against Mycobacterium leprae and is being used in alternative multidrug therapy regimens. As a component of MDT, it has been found to hasten the bacteriological and clinical response. Drugs used for drug resistant leprosy are: Ofloxacin Minocycline Claihromycin